Which one of the following is not a sequela of pancreatitis ?
1. Hyperbilirubinemia
2. Haematocrit increased
3. Hyperglycemia
4. Hypercalcemia

Correct answer: 4. Hypercalcemia

Explanation: Hypercalcemia causes pancreatitis but Pancreatitis cause hypocalcemia. Pancreatitis causes saponification of fat, where calcium is consumed and eventually leads to hypocalcemia . ref - davidsons 23e pg 837-840